Anton test is used for:
1. Listeria monocytogenes
2. Ligaonella
3. Brucella
4. Bordetella

Correct answer: 1. Listeria monocytogenes

Explanation: Ans. is. 'a' i. e., Listeria monocytogenes